Sentinel node of gallbladder is
1. Virchow's node
2. Iris node
3. Clouquet node
4. Lymph node of Lund

Correct answer: 4. Lymph node of Lund

Explanation: Lund's node, or Mascagni's lymph node (often erroneously referred to as Calot's node), is the sentinel lymph node of the gall bladder. It increases in size in cholecystitis and cholangitis. It is an anatomic landmark and is removed along with the gall bladder in cholecystectomy.It is situated within the Triangle of Calot, where it abides the space below the cystic artery. Ref:Sabiston 20th edition Pgno :1482